Hyperventilation results in all of the following EXCEPT
1. increased PCO2
2. decreased cerebral blood flow
3. hypocapnia
4. increased PO2

Correct answer: 1. increased PCO2

Explanation: Hyperventilation is initiated due to an increase in PCO2. The increased rate of breathing "blows off" excess CO2. Thus, hyperventilation results in a decrease of PCO2 to its normal physiologic range. The increased respiratory rate causes a ↑PO2.
The resultant decrease in CO2 causes hypocapnia.
The resultant decrease in PCO2 causes vasoconstriction, leading to ↓cerebral blood flow.
Respiratory alkalosis occurs due to the ↑pH.